Most common complication of whipple's procedure is
1. Delayed gastric emptying
2. Bleeding
3. Exocrine insufficiency
4. Anastomotic leak

Correct answer: 1. Delayed gastric emptying

Explanation: Morbidity following pancreaticoduodenectomy Delayed gastric emptying (18%) Pancreas fistula (12%) Wound infection (7%) Intra abdominal abscess (6%) Cardiac events (3%) Bile leak (2%) Overall reoperation (3%) Ref: Sabiston 20th edition Pgno :1548